Most common defect in hereditary spherocytos is in ?
1. Spectrin
2. Ankyrin
3. Band 3
4. Band 4.2

Correct answer: 2. Ankyrin

Explanation: Ans. is 'b' i.e., Ankyrin